Flaying is seen in which wound?
1. Laceration
2. Incised wound
3. Stab wound
4. Contusion

Correct answer: 1. Laceration

Explanation: Ans. is 'a' i.e., Laceration LACERATION (TEAR OR RUPTURE)Lacerations are tears or splits of skin, mucous membrane and underlying tissue (e.g., muscle or internal organs). Lacerations are produced by application of blunt force to broad area of the body, which crush or stretch tissues beyond the limits of their elasticity. Localized portions of tissue are displaced by the impact of the blunt force, which sets up traction forces and causes tearing of tissues.